About interferon true is:
1. It is a synthetic antiviral agent
2. Inhibits viral replication in cells
3. Is specific for a particular virus
4. None

Correct answer: 2. Inhibits viral replication in cells

Explanation: Ans. is 'b' i.e., Inhibits viral replication in cells(Ref: Ananthanarayan, 9th/e, p. 448 - 449 and 8th/e, p. 447 - 448)* Interferon by itself has no direct action on viruses but it acts on other cells of same species, rendering them refractory to viral infection.* On exposure to interferon, cells produce a protein (translation inhibiting protein TIP) which selectively inhibits translation of mRNA.